Which of the following hormone is not secreted by the kidney -
1. Renin
2. Angiotensin I
3. Erythropoietin
4. 1, 25 DHCC

Correct answer: 2. Angiotensin I

Explanation: Ans. is 'b' i.e., Angiotensin-I o Angiotensin I is formed by angiotensinogen (which is produced in liver).Endocrine function of kidneyo Hormones secreted by kidney 1-25 (OH)2 Vit D3, Renin, Erythropoietino Hormones secreted eleswhere and act on kidney Natriuretic peptide (ANP, BNP),ADH, Aldosterone, Parathyroid.